All are features of Alagille syndrome, EXCEPT:
1. Posterior embryotoxon
2. Hepatocellular jaundice
3. Peripheral pulmonary stenosis
4. Butterfly vertebrae

Correct answer: 2. Hepatocellular jaundice

Explanation: Syndromic paucity of interlobular bile ducts (Alagille syndrome) is the most common form of familial intrahepatic cholestasis. Chronic cholestasis affects 95% of patients. Peripheral pulmonic stenosis is observed in approximately 90%. Vertebral arch defects are seen (e.g., butterfly vertebrae, hemivertebrae, and a decrease in the interpedicular distance). Ophthalmologic examination may reveal posterior embryotoxon, retinal pigmentation, and iris strands. Ref: Sleisenger and Fordtran's Gastrointestinal and Liver Disease, 9th Edition, Page 1061